A 2 year old child presented with leukocoria in the right eye since 2 months. On examination a total retinal detachment was present in the same eye. Ultrasound B scan revealed a heterogenous sub retinal mass with calcification. The most likely clinical diagnosis is –
1. Coats- disease
2. Retinoblastoma
3. Toxocariasis
4. Retinal tuberculoma

Correct answer: 2. Retinoblastoma

Explanation: Leukocoria with calcification in subretinal mass suggests the diagnosis of exophytic retinoblastoma.
Exophytic retinoblastoma can cause retinal detachment.